All of the following are defence mechanisms of ego, except
1. Conversion
2. Reaction formation
3. Projection
4. Transference

Correct answer: 4. Transference

Explanation: (D) Transference > All of the following are defence mechanisms of ego except transference.> The term ego defence mechanism refers to various automatic, involuntary and unconsciously instituted psychological act vity by which the unacceptable urges or impulses are excluded from conscious awareness.> These defence mechanisms are function of ego.> Other commonly used ego defence mechanisms are repression, regression, denial, distortion, dissociation, displacement, etc.> Transference is the development of emotions and feelings in a patient towards the psychotherapist.> This is utilized in resolution of problems and promote recovery.> Counter-transference is the development of emotions and feelings in psychotherapist towards his patient.